Retinoblastoma gene is ,located on chromosome:
1. 13
2. 14
3. 17
4. 22

Correct answer: 1. 13

Explanation: 13